According to 2000 act, juvenile is boy and girl respectively less than -
1. 16 and 18
2. 18 and 21
3. 14 and 16
4. 18 and 18

Correct answer: 4. 18 and 18

Explanation: According to Juvenile Justice Act 2000, a juvenile is a girl or boy who has not completed 18 years of age. Juvenile in conflict with law is a juvenile alleged to have committed an offence and not completed 18 years of age at time of commission of offence. Such persons should be sent to Juvenile Home and never imprisoned or sentenced to death.Dr. K.S.Narayana Reddys Synopsis of Forensic Medicine & Toxicology 27th edition pg.44.